Hurthle cells are found in -
1. Medullary carcinoma thyroid
2. Papillary carcinoma thyroid
3. Follicular adenoma thyroid
4. Pituitary adenoma

Correct answer: 3. Follicular adenoma thyroid

Explanation: Ans. is 'c' i.e., Follicular adenoma thyroid o Hurthle cells are large epithelial cells with abundant pink cytoplasm .o They are found in follicular adenoma, follicular carcinoma and Hashimoto's thyroiditis.